Ezetimibe acts by:
1. Enhancing excretion of bile acids
2. Decreasing absorption of cholesterol
3. Inhibiting HMG–CoA reductase
4. Inhibiting intracellular lipase

Correct answer: 2. Decreasing absorption of cholesterol